True of the following is/are-
1. IgA crosses placenta
2. Half life of IgG is 23 days
3. IgD is heat stable
4. IgE has highest carbohydrate content

Correct answer: 2. Half life of IgG is 23 days

Explanation: Half life of IgG is approximately 23days Ref: Ananthanarayan & Panikers textbook of microbiology 9th edition pf:96